What is the counterpart of troponin in smooth muscles
1. Nebulin
2. Calsequestrin
3. Calmodulin
4. Titin

Correct answer: 3. Calmodulin

Explanation: In skeletal muscle Ca2+ binds to Troponin-C. Likewise, in smooth muscle Ca2+ binds to Calmodulin and activates myosin light chain Kinase.